All are features of atopic dermatitis, except:
1. Dennie -Morgan fold
2. Hertoghe's sign
3. Darier's Sign
4. Hyperlinearity of palms

Correct answer: 3. Darier's Sign

Explanation: It is seen in urticaria pigmentosa.